Short head of biceps is innervated by:
1. Musculo cutaneous nerve
2. Radial nerve
3. Axillary nerve
4. Median nerve

Correct answer: 1. Musculo cutaneous nerve

Explanation: Ans. A Musculo cutaneous nerveRef: BDC, 6th ed. vol. I pg. 88* Short head of biceps comes under anterior compartment of arm. All the muscles of the anterior compartment of arm are innervated by musculo-cutaneous nerve.* Posterior compartment muscles are innervated by radial nerve.